Which of the following is associated with Non oliguric renal failure?
1. Aminoglycoside toxicity
2. Hypovolemia
3. NSAIDS
4. Post streptococcal glomerulonephritis

Correct answer: 1. Aminoglycoside toxicity

Explanation: Nonoliguric AKI (i.e. Without a significant reduction in urine volume) accompanies 10-30% of courses of aminoglycoside antibiotics, even when plasma levels are in the therapeutic range. Aminoglycosides are freely filtered across the glomerulus and then accumulate within the renal cortex, where concentrations can greatly exceed those of the plasma. AKI typically manifests after 5-7 days of therapy and can present even after the drug has been discontinued. Hypomagnesemia is a common finding. Causes of Non Oliguric Renal failure: Tubulointerstitial disease, partial obstructive nephropathy, nephrotoxic and ischemic ATN radiocontrast-induced ARF, and rhabdomyolysis, aminoglycoside, streptomycin, polymyxin B. lithium, or cisplatin nephrotoxicity.